Lamina papyracea separates nose from
1. Sphenoid bone
2. Orbit
3. Frontal bone
4. Maxillary sinus

Correct answer: 2. Orbit

Explanation: Ref: Henry Gray. Anatomy of the Human Body. The lateral surface is formed of a thin, smooth, oblong plate, the lamina papyracea (os planum), which covers in the middle and posterior ethmoidal cells and forms a large part of the medial wall of the orbit; it articulates above with the orbital plate of the frontal bone, below with the maxilla and orbital process of the palatine, in front with the lacrimal, and behind with the sphenoid.